Action of metalloproteinase ?
1. Degradation of collagen
2. Polymerization of collagen
3. Oxidation of collagen
4. Stimulation of collagen

Correct answer: 1. Degradation of collagen

Explanation: Ans. is 'a' i.e., Degradation of collagenDegradation of collagen and other ECM (extracellular matrix) proteins is achieved by matrix metalloproteinases (MMPs).MMPs is a family of enzymes that have in common a 180-residue zinc protease domain.Matrix metalloproteinases include :-Interstitial collagenase (MMP-1, 2, and 3) : Cleave the fibrillar collagen types I, II and III.Gelatinases (MMP-2 and 9) : Degrade amorphous collagen and fibronectin.Stromelysins (MMP-3, 10 and 11) : Act on proteoglycans, laminin, fibronectin and amorphous collagen.Membrane-bound MMPs (ADAMs) : Cleave membrane-bound precursor forms of TNF and TGF-a, releasing the active molecule.